In the body, metabolism of 10 g of protein would produce approximately
1. 1 Kcal
2. 41 Kcal
3. 410 Kcal
4. 4100 Kcal

Correct answer: 2. 41 Kcal